In thyroid gland, iodine is transported into the lumen of the follicles by
1. Endocytosis
2. Pendrin protein
3. Antiport
4. Primary active transport

Correct answer: 2. Pendrin protein

Explanation: Pendrin protein is a chloride-iodide transporter protein encoded by the gene responsible for Pendred syndrome, important in function of thyroid gland, kidney, and inner ear.Endocytosis is defined as the uptake by a cell of material from the environment by invagination of the plasma membrane; it includes both phagocytosis and pinocytosis.Antiport a cell membrane transport mechanism that transports two molecules at once through the membrane in opposite directions.Primary active transport - Active transport is the movement of all types of molecules across a cell membrane against its concentration gradient (from low to high concentration). In all cells, this is usually concerned with accumulating high concentrations of molecules that the cell needs, such as ions, glucose, and amino acids. If the process uses chemical energy, such as from adenosine triphosphate (ATP), it is termed primary active transport.Ref: Ganong's review of medical physiology; 24th edition; page no-341